Concentration of a drug in blood is 40 microgna/ml. Dose of the drug is 200mg. Volume of distribution of the drug assuming minute elimination is ?
1. 5 litre
2. 0.5 litre
3. 2.5 litre
4. 3 litre

Correct answer: 1. 5 litre

Explanation: Ans. is 'a' i.e., 5 It.